Nerve supply of larynx above level of vocal cord
1. Superior laryngeal
2. Recurrent laryngeal
3. Glossopharyngeal
4. External laryngeal

Correct answer: 1. Superior laryngeal

Explanation: Up to the vocal folds; By the superior laryngeal artery, a branch of the superior thyroid artery. Below the vocal folds; By the inferior laryngeal artery, a branch of the inferior thyroid artery. Ref BDC volume 3;6th edition